Use of aspirin in children with viral disease is associated with :
1. Metabolic acidosis
2. Reye's syndrome
3. Renal tubular acidosis
4. Fixed drug eruption

Correct answer: 2. Reye's syndrome